On both sides submental triangle is bounded by -
1. Hyoid bone
2. Anterior digastric
3. Posterior digastric
4. Mylohyoid

Correct answer: 2. Anterior digastric

Explanation: On each side of submental triangle, there is anterior belly of digastric.